Trigeminal nerve has how many nucleus?
1. 2
2. 3
3. 4
4. 5

Correct answer: 3. 4

Explanation: Ans. C.4Trigeminal nerve has four nuclei - 3 sensory and 1 motor nucleus.The sensory nucleus is divided into three parts, from rostral to caudal (top to bottom):a. The mesencephalic nucleusb. The chief sensory nucleus (or "main sensory nucleus" or "principal nucleus")c. The spinal nucleus